Glomerulonephritis associated with AIDS is-
1. Focal segmental GN
2. PSGN
3. MPGN
4. Membranous GN

Correct answer: 1. Focal segmental GN